False statement about fetal development:
1. Fetal legs develop before upper limb
2. Growth in length is very fast in 3-5th month
3. Thumbs are formed in preaxial border
4. None

Correct answer: 1. Fetal legs develop before upper limb

Explanation: A i.e. Fetal legs develop before upper limbUpper limb buds appear 1 to 2 days before the lower limb bade. Thumb & great toe are homologous digits and are formed in preaxial (cranial) border of limb budQ.Growth in length is very rapid during 3-5 (especially 4th & 5th) monthsQ, whereas gain in weight is most striking during second half of intro uterine life, particularly during the last 2.5 monthsQ, when maximum weight (-- 50% of full term weight) is added.